Which of the following Parasympathomimetic drug is used to treat Xerostomia
1. Pirenzepine
2. Bethanecol
3. Cevimeline
4. Tolterodine

Correct answer: 3. Cevimeline

Explanation: Cevimeline is a muscarine agonist that can increase salivary secretions.